Maximum PUFA is seen in -
1. Coconut oil
2. Mustard oil
3. Safflower oil
4. Soyabean oil

Correct answer: 3. Safflower oil

Explanation: Ans. is 'c' i.e., Safflower oil [Ref: Park 23rd/ep.6II\o Richest source of polyunsaturated fatty acid - Safflower oil.o Richest source of monounsaturatedfatty acid - Palm olein oilo Richest source of saturated fatty acid - Coconut oil.